All are features of Lobar pneumonia except
1. Homogeneous consolidation
2. Air bronchogram sign present
3. Segmental consolidation
4. Typical of pneumococcal infection

Correct answer: 3. Segmental consolidation

Explanation: Consolidation in Lobar pneumonia in Non - segmental.